GLUT-2 is seen in: (Repeat)
1. Pancreas
2. Adipose tissue
3. Skeletal muscles
4. Brain

Correct answer: 1. Pancreas

Explanation: Ref: Harpers Illustrated Biochemistry, 29th edition. Page no: 193.Explanation:Location of Glucose Transporters (GLUT] is frequently asked MCQ. GLUTs could be insulin dependent or independent. Please have a look at this table from Harper.TypeTissue locationFunctionsGLUT1Brain, kidney, placenta, RBCsUptake of glucoseGLUT 2Liver, pancreatic beta ceils, kidney, small intestine.Rapid uptake of glucose and release of glucoseGLUT3Brain, kidney, placentaUptake of glucoseGLUT 4Skeletal muscle, adepose tissue, heartInsulin stimulated uptake of glucoseGLUTSSmall intestineAbsorption of glucoseSGLT1Small intestine and kidneyActive absorption from small intestine as well as resorption from PCTNote: GLUT-4 is insulin dependent.Present in tissues which consume maximum glucose in our body like adipose tissue and skeletal muscles. GLUT-4 transporters will usually not present on the membranes they will be inside the cells.After insulin binds to the receptors on the membrane of these tissues there will be translocation of these GLUT 4s to the membrane to allow entry of glucose in to the cells. It doesn't happen in a person with insulin resistance.